The most common site of Myocardiai infarction is -
1. Anterolateral
2. Interventricular septum
3. Posterior wall
4. Inferior wall

Correct answer: 1. Anterolateral